Coagulation testing in needed for:-
1. Lepirudin
2. Enoxaparin
3. Fondaparinux
4. Dabigatran

Correct answer: 1. Lepirudin

Explanation: Coagulation testing is mainly done for: * Warfarin(vitamin K antagonist) : it is monitored by prothrombin time(PT) or International Normalised Ratio(INR). * Unfractionated Heparin : it is monitered by aPTT. Other anti-coagulants requiring monitoring are direct thrombin inhibitors like: * Lepirudin * Bivalirudin They require monitoring by aPTT. Recently, new oral anti-coagulants are developed which do not require monitoring, e.g. include : * Dabigatran(direct thrombin inhibitor) * Epixaban(factor XA inhibitors) Fondaparinux and Low molecular weight heparin (indirect thrombin inhibitors) do not require monitoring.